Bradykinin Causes -
1. Vasoconstriction
2. Pain at the site of inflammation
3. Bronchodilatation
4. Decreased Vascular permeability

Correct answer: 2. Pain at the site of inflammation

Explanation: Bradykinin causes Increases vascular permeability Arteriolar dilation Bronchial smooth muscle contraction Pain at the site of inflammation ref robbins 9th ed page 52